Frequency of recesses in Zygomatic process of maxilla is
1. 50%
2. 41.50%
3. 40%
4. 1.75%

Correct answer: 2. 41.50%